Romana's sign is seen in:
1. Trypanosoma brucei
2. Trypanosoma cruzi
3. Loa loa
4. Wuchereria

Correct answer: 2. Trypanosoma cruzi

Explanation: Romana's sign --the classic finding in Acute Chagas' disease (caused by the parasite Trypanosoma cruzi), which consists of unilateral painless edema of the palpebrae and periocular tissues--can result when the conjunctiva is the portal of entry. Initial local signs may be followed by malaise, fever, anorexia, and edema of the face and lower extremities. Generalized lymphadenopathy and hepatosplenomegaly may develop.